Boiling point of methyl methacrylate:
1. > B.P of water
2. < B.P of water
3. Equal to BP of water
4. Is at normal room temperature

Correct answer: 1. > B.P of water